Trigone of urinary bladder develops from
1. Urogenital sinus
2. Vesicourethral canal
3. Mesonephric duct
4. Endoderm

Correct answer: 3. Mesonephric duct

Explanation: The terminal portion of Mesonephric duct gets absorbed into the posterior wall of urogenital sinus and forms the trigone of the urinary bladder. Urinary bladder develops from endodermal vesicourethral canal. Ref: Gray's 39e/p-1289